Nerve supply of Glans penis is
1. Genital branch of genito-femoral nerve
2. Ilio-inguinal nerve
3. Ilio-hypogastric nerve
4. Pudendal nerve

Correct answer: 4. Pudendal nerve

Explanation: Innervation of penis : nerves deriving from S2-S4. Sensory & sympathetic innervation: provided by the dorsal nerve of penis (terminal branch of pudendal nerve), which runs lateral to dorsal artery of penis. It Supplies both skin and glans. The sensory endings are more numerous on the glans). Ilioinguinal nerve branches supply skin at the root. Parasympathetic innervation: provided by cavernous nerves that innervate the helicine arteries in the corpora cavernosa (that is why erection is parasympathetically stimulated). Ref - medscape.com